Onion skin lesion in vessels is seen in ?
1. Malignant hypertension
2. Benign hypertension
3. Peripheral vascular disease
4. None

Correct answer: 1. Malignant hypertension

Explanation: Ans. is 'a' i.e., Malignant hypertensionIn malignant hypertension, there is concentric laminated thickening of arteriolar wall, onion skinning.